Disease under WHO surveillance -
1. Rabies
2. Mumps
3. Hepatitis
4. Tetanus

Correct answer: 1. Rabies

Explanation: Ans. is 'a' i.e., Rabies Diseases under international surveillance (WHO) o Rabies o Poliomyelitis o Salmonellosis o Louse born typhus fever o Malaria o Relapsing fever o Human influenza